Positive Ferric chloride urine test is due to:
1. Phenylalanine
2. Phenylacetate
3. Phenylpyruvate
4. Phenylaspaate

Correct answer: 3. Phenylpyruvate

Explanation: Diagnostic test for phenylketonuria: This is a screening test in urine sample for phenyl ketones and hence gives positive result for phenyl pyruvate Positive for:- Phenylketonuria Tyrosinemia MSUD Alkaptonuria